Parietal peritonium is lined by ?
1. Simple squamous
2. Stratified squamous
3. Cuboidal
4. Columnar

Correct answer: 1. Simple squamous

Explanation: A i.e. Simple squamousTransitional epithelium is a multilayered (4 - 6) stretchable epithelium, which has extra reserve of cell layers Q i.e. as tension increases the epithelial sheet is expanded & number of observable cell layers decrease & cell shape change from cuboid to squamous.The deepest layer of transitional epithelium is columnar or cuboidal; middle layer is polyhedral or pear shaped & surface layer is umbrella shaped.It differs from stratified squamous epithelium in that the cells at surface are not squamous.Membranous and most of penile urethraQ (in males) is lined by pseudostratified or stratified columnar epitheliumAnsa nephroni (renal loop of Henle) and mesothelium (i.e. serous/outer/parietal layer of peritoneum, pericardium & pleura) is lined by simple squamous epitheliumQ and distal convulated tubule (DCT) is lined by simple cuboidal epithelium without brush borderQ